A 27-year-old male had burning micturation & urethral discharge. After 4 weeks he developed joint pains involving both the knees & ankles, redness of the eyes & skin lesions. The most probable clinical diagnosis:
1. Psoriasis vulgaris
2. Reiter's synd
3. Bechet's synd
4. Sarcoidosis

Correct answer: 2. Reiter's synd

Explanation: B i.e. Reiter's syndrome